Foster kennedy syndrome seen with
1. AION
2. Retinal detachment
3. Frontal lobe tumor
4. Macular edema

Correct answer: 3. Frontal lobe tumor

Explanation: Answer- C. Frontal lobe tumorFoster - kennedy syndrome :- The frontal lobe, pituitary and middle ear tumor such as meningiomata of the oflactor groove are sometimes associated with Ipsilateral pressure atrophy of the optic nerve and contralateral papilloedema.